Which one of the following is a content of calots triangle ?
1. Cystic duct
2. Cystic artery
3. Common hepatic artery
4. Common hepatic duct

Correct answer: 2. Cystic artery

Explanation: Calots triangle is an anatomic space bordered by the cystic duct inferiorly, common hepatic duct medially and the inferior (visceral) surface of the liver superiorly. The cystic artery lies within the cystohepatic triangle, which is used to locate it during a laparoscopic cholecystectomy. ref - BDC vol2 , researchgate.net